Ulcer serpans is caused by
1. Pseudomonas pyocynaceous
2. Pneumococcus
3. Corynebacterium
4. Neisseria gonorrhoea

Correct answer: 2. Pneumococcus

Explanation: The characteristic hypopyon corneal ulcer caused by Pneumococcus is called ulcus serpens. Characteristic features of ulcus serpens are : Ulcus serpens is a greyish white or yellowish disc - shaped ulcer occurring near the centre of cornea The ulcer has a tendency to creep over the cornea in a serpiginous fashion. Violent iridocyclitis is commonly associated with a definite hypopon Hypopon increases in size very rapidly and often results in secondary granuloma Ulcer spreads rapidly and has a great tendency for early perforation. Ref;A.K.Khurana; 6th edition; Page no:102 REF IMG